A monoclonal antibody, also called antiangiogenesis agent used in metastatic colo- rectal carcinoma is
1. Trastuzumab
2. Rituximab
3. Bevacizumab
4. Cetoximab

Correct answer: 3. Bevacizumab

Explanation: C. i.e. (Bevacizumab) (478 - Lippincott's Pharmacology 3rd)BEVACIZUMAB - is the first in a new class of anticancer drugs called antiangiogenesis agents. Bevacizumab is approved for use as a first line drug against metastatic colo-rectal cancer and is given with 5- FU- based chemotherapy* Most common adverse effects - Hypertension, Stomatitis, and diarrhea.Monoclonal antibodyIndicationAdverse effects* TRASTUZUMAB* Metastatic breast cancer.* Administered with paclitaxel- Congestive heart failure* RITUXIMAB* Genetically engineered chimeric monoclonal antibody directed against the CD-20 antigen1. Post transplant lymphoma2. Chronic lymphocytic leukemia- Hypotension bronchospasm- Angioedema- Tumor lysis syndromeCETUXIMAB* Antineoplastic effect* Treat colorectal cancer* Used with irinotecan- Difficulty in breathing & LOW BP*Abciximab is platelet inhibitor**